Best again for premenstrual syndrome management is?
1. Progesterone
2. Anxiolytic
3. SSRI
4. Vitamin E

Correct answer: 3. SSRI

Explanation: Premenstrual syndrome (PMS) is a collection of emotional symptoms, with or without physical symptoms, related to a woman's menstrual cycle. *SSRIs can be used to treat severe PMS. Fluoxetine and sertraline have been approved for this indication. Treating for 2weeks out of a month in luteal phase may be as effective as continuous treatment. The rapid effects of SSRIs in PMS May be associated with rapid increases in pregnenolone levels. REF: KATZUNG 14TH ED.